Ultrasonic scaler can be used in
1. AIDS patients
2. Asthamatics
3. Pacemaker
4. Heavy calculus

Correct answer: 4. Heavy calculus